Skin graft for facial wounds is taken from -
1. Medial aspect of thigh
2. Cubital fossa
3. Groin
4. Post auricular region

Correct answer: 4. Post auricular region

Explanation: Full thickness skin graft for face is taken from

post-auricular region
supraclavicular region (Ref: Schwartz 7/e, p 2093)